Osteoblastic metastasis is seen -
1. Prostate carcinoma
2. Multiple myeloma
3. Thyroid carcinoma
4. Renal carcinoma

Correct answer: 1. Prostate carcinoma

Explanation: Metastases that are typically purely lytic Kidney Thyroid Metastases that are usually mixed lytic and sclerotic Lung Breast Metastases that are usually purely blastic Prostate Medulloblastoma Bronchial carcinoid